Color of granules in mycetoma caused by Actinomadura pelletierrii -
1. Black
2. Yellow
3. Red
4. Brown

Correct answer: 3. Red

Explanation: Ans. is 'c' i.e., Red Colout of Grains in Mycetomas of Various Etiology White to Yellow Brown to Black Red 1) Nocardia asteroides 1) Madurella mycetomi 1) Actinomadura pelletierrii 2) Nocardia brasilliensis 2) Madurella grisea 3) Actinomadura madurae 3) Phialophora jeanselmei 4) Streptomyces somaliensis 5) Allescheria boydii